What is the dose of mifepristone in emergency contraception?
1. 100 mg
2. 200 mg
3. 25 mg
4. 200 mcg

Correct answer: 3. 25 mg

Explanation: Mifepristone is a highly effective and well-tolerated emergency contraceptive when given in a single dose of 15-50 mg within 72 h of unprotected coitus.